Antigen absent in Bombay blood group-
1. H
2. A
3. B
4. All

Correct answer: 4. All

Explanation: Ans. is 'a' i.e., H; 'b' i.e., A & 'c' i.e., B"Bhende et al (1952) from Bombay reported the very rare instatnce in which A and B antigens as well as the H antigens are absent from red cells. This is known as Bombay or OH blood"